True for vagina:
1. Lined by columnar epithelium
2. Anterior fornix is deepest
3. Lacks mucus secreting glands
4. Anterior wall is long as compared to posterior

Correct answer: 3. Lacks mucus secreting glands

Explanation: The vagina has no glands, and therefore must rely on other methods of lubrication. Plasma seepage from vaginal walls due to vascular engorgement is considered to be the chief lubrication source, and the Bartholin's glands, located slightly below and to the left and right of the introitus (opening of the vagina), also secrete mucus to augment vaginal-wall secretions.